All the following conditions can Lead to depapillation of the tongue EXCEPT
1. Plummer-Vinson syndrome
2. Amyloidosis
3. Pernicious anemia
4. Luetic glossitis

Correct answer: 2. Amyloidosis